Chief source of X-ray generation in radiology?
1. Thermionic emission
2. Bremstrahlung radiation
3. Photoelectric effect
4. Compton effect

Correct answer: 2. Bremstrahlung radiation

Explanation: X-rays are produced by high-energy electrons bombarding a target, especially targets that have a high proton number (Z). When bombarding electrons penetrate into the target, some electrons travel close to the nucleus due to the attraction of its positive charge and are subsequently influenced by its electric field. The course of these electrons would be deflected, and a portion or all of their kinetic energy would be lost. The 'lost' energy is emitted as X-ray photons, specifically Bremsstrahlung radiation (bremsstrahlung is German for 'braking radiation').